While taking impression of flabby fibrous tissue on 
maxillary ridge for complete denture care is taken to:
1. Use a tray with spacer
2. Not maintain intimate contact with tissues
3. Use a close fitting tray
4. Following normal procedures

Correct answer: 1. Use a tray with spacer